Scatter diagram represents-
1. Frequency of occurence
2. Trend over time
3. Correlation / Association
4. None of the above

Correct answer: 3. Correlation / Association

Explanation: Ans. is 'c' i.e., Correlation / AssociationDataMethodFrequency of occurrenceBar Chart(comparisons of magnitude)Pie chartTrends over timeLine graphDistribution (not related to time)Histogram,Frequency polygonAssociation(Looking for correlation between two variables)Scatter diagram